Most potent form of vitamin D is -
1. Ergocalciferol (Vit. D2)
2. 7 dehydro cholecalciferol
3. 25 hydroxy cholecalciferol
4. 1,25 dihydroxy cholecalciferol

Correct answer: 4. 1,25 dihydroxy cholecalciferol

Explanation: Ans. is 'd' i.e., 1,25 dihydroxy cholecalciferol o 1,25 cholecalciferol also k/a calcitriol is active form of Vit. D.o Cholecalciferol in liver continued to 25 hydroxy cholecalciferol.o in kidney 25-Hydroxvcholecalciferol converted into 1,25-Hydroxy cholecalciferol.